Osgood Shattiler disease -
1. Involve the knee joint
2. Pelvis
3. Wrist joint
4. Cervical spine

Correct answer: 1. Involve the knee joint

Explanation: Osgood-shaltter disease is osteochondritis of tibial tuberosity (just below the knee joint).